Which of the following is not a premalignant condition:
1. Barrett's esophagus
2. Hiatus hernia
3. Achalasia
4. Plummer Vinson syndrome

Correct answer: 2. Hiatus hernia

Explanation: Ans. B: Hiatus hernia